Grade I lymphedema means -
1. Pitting edema upto the ankle
2. Pitting edema upto the knee
3. Non-pitting edema
4. Edema disappearing after overnight rest

Correct answer: 4. Edema disappearing after overnight rest